Vasoactive amine, involved in inflammation is -
1. dopamine
2. adrenaline
3. Angiotensin
4. Histamine

Correct answer: 4. Histamine

Explanation: Two molecules, histamine and serotonin are the vasoactive amines produced by mast cells, which mediate acute inflammation. Dopamine is a neurotransmitter Adrenaline is is adrenal medulla hormone Angiotensin Is a peptide hormone causing vasoconstriction ..but doesn't participate in inflammation Basic Pathology, Robbins. Page no.:46